Neonatal mortality is calculated as -
1. Number of deaths of children <28 days per 1000 live birth
2. Number of deaths of children <28 days per 1000 still birth
3. Number of deaths of children <28 days per 1000 total birth
4. None

Correct answer: 1. Number of deaths of children <28 days per 1000 live birth

Explanation: Neonatal mortality rate is number of deaths of children <28 days per 1000 live birth. REF. PARK'S TEXTBOOK OF PREVENTIVE AND SOCIAL MEDICAL 21ST EDITION. PAGE NO - 521